Which of the following reaction produces CO2?
1. Amino acid synthesis
2. HMP shunt pathway
3. Glycolysis
4. None of the above

Correct answer: 2. HMP shunt pathway

Explanation: Inpentose phosphate pathway (hexose monophosphate shunt) three molecules of glucose 6-phosphate give rise to three molecules of CO2 and three 5-carbon sugars. These are rearranged to regenerate two molecules of glucose 6-phosphate and one molecule of the glycolytic intermediate, glyceraldehyde 3-phosphate. Ref: Bender D.A., Mayes P.A. (2011). Chapter 21. The Pentose Phosphate Pathway & Other Pathways of Hexose Metabolism. In D.A. Bender, K.M. Botham, P.A. Weil, P.J. Kennelly, R.K. Murray, V.W. Rodwell (Eds), Harper's Illustrated Biochemistry, 29e.